Which of the following eukaryotic transcription factor recognises the promoter?
1. Rho
2. Pribnow box
3. Sigma
4. TFIID

Correct answer: 4. TFIID

Explanation: = TFIID (option d) TFII is the transcription factor for RNA Polymerase II in eukaryotes. TFIID is required for initiation at promoters lacking the TATA box. = Sigma factor (option c) Recognizes the Pribnow box in Prokaryotes. It forms a complex with RNA polymerase (a2bb 'w) to form the holoenzyme. Different types of subunits recognize different promoters. = Rho (option a)- Help in transcription termination in prokaryotes can be either rho factor or rho GTPase. Rho factor Rho family of GTPases ATP-dependent hexameric helicase Involved in vesicular trafficking = Pribnow box (option b) is the consensus sequence of six nucleotides (TATAAT) that forms the prokaryoticpromoter.